Parvovirus B19 does not cause
1. Roseola infantum
2. Aplastic anemia in sickle cell disease
3. Fetal hydrops
4. erythema infectiosum

Correct answer: 1. Roseola infantum

Explanation: parvovirusB19 causesaplasyic crisi ,persistent anemia,erythema infectiosum&fetal hydrops REF:ANATHANARAYANAN MICROBIOLOGY NINTH EDITION PAGE.554